Chance of affected child to Autosomal recessive carrier parents is?
1. 10%
2. 15%
3. 25%
4. 50%

Correct answer: 3. 25%

Explanation: In autosomal recessive condition the risk of having an affected child when both parents are carriers is 25%, and the chance of having a child who is a carrier is 50%.
GENETIC RISK ASSESSMENT IN AUTOSOMAL RECESSIVE INHERITANCE:
The genetic risk associated with Autosomal recessive disorder is as follows Affected mother, normal father